All of the following are true about potassium, except
1. Mostly concentrated inside the cells
2. Leaves the cell in the presence of insulin
3. Ingestion of acetazolamide results in potassium loss
4. Plasma concentration increases at time of metabolic acidosis

Correct answer: 2. Leaves the cell in the presence of insulin

Explanation: Insulin increases permeability of the cell to potassium, magnesium,phosphate ions.the effect of potassium is clinically important, insulin activates sodium potassium pump causing influx of potassium Ref:Guyton and Hall textbook of medical physiology 12th edition,page number: 610,611,612